If blood gas analysis reveal pH = 7.52, pCO = 30 ; pO2 = 105. This will be compensated by ?
1. Compensatory respiratory acidosis
2. Compensatory respiratory alkalosis
3. Compensatory metabolic acidosis
4. Compensatory metabolic alkalosis

Correct answer: 3. Compensatory metabolic acidosis

Explanation: First step

Determine whether it is acidosis or alkalosis
Increase in pH suggests alkalosis
Second step
Look at CO2 or HCO3- to determine the cause
Decreased PCO2 suggests respiratory alkalosis
Respiratory alkalosis
Respiratory alkalosis occurs because CO2 is blown off in excess equation shifts to left and H+ conc. decrease which leads to alkalosis.
Now the kidneys compensate for this alkalosis by excreting more HCOO3-. This shifts the equation to right thus H+ conc. decreases.